True about border line ovarian tumors is all except
1. Approximately 10 % of epithelial tumors of ovary are classified as borderline tumors.
2. High rate of recurrence following surgery.
3. Well differentiated tumors.
4. Do not invade the basement membrane.

Correct answer: 2. High rate of recurrence following surgery.

Explanation: Borderline ovarian tumors do not often recurr following initial surgery.